Extrapyramidal syndrome like side effects are seen in:
1. Clozapine
2. Tetracycline
3. Haloperidol
4. Ketoconazole

Correct answer: 3. Haloperidol

Explanation: Drugs causing extrapyramidal effects
Butyrophenones (Haloperidol)*
Levodopa* Methyldopa* Metoclopramide*
OCP’S Phenothiazines* Reserpine*
Tricyclic Antidepressants